Indications of rectal examination in gynecology are all except :
1. In cases with mullerian agenesis
2. In virgin females
3. To differentiate rectocele from enterocele
4. For staging of ovarian malignancy

Correct answer: 4. For staging of ovarian malignancy

Explanation: Rectal examination is done in Ovarian malignancy to rule out parametrial and rectal mucosa involvement but it is staged surgically Indications of rectal examination in OBG Children or virgins Painful vaginal examination Carcinoma Ovary, Uterus, Cervix and Vagina To diagnose rectocele and differentiate it from enterocoele Atresia of vagina D.C.DUTTA'S TEXTBOOK OF GYNECOLOGY,pg no:107,6th edition